Bisgard treatment is for -
1. Arterial ulcer
2. Venous ulcer
3. TAO
4. Raynauds phenomenon

Correct answer: 2. Venous ulcer

Explanation: Ans. is 'b' i.e., Venous ulcer